After use of some drug, a person develops episodes of rage in which he runs about and indiscriminately injures a person who is encountered in way. He is probably addict of:
1. Alcohol
2. Cannabis
3. Opium
4. Cocaine

Correct answer: 2. Cannabis

Explanation: The description is suggestive of run amok which is seen with cannabis use. Cannabis related disorders Flashback phenomenon: recurrence of cannabis use experience in the absence of any current use * Amotivational syndrome- Loss of motivation in all domains of life * Running amok - Extreme rage that may develop after cannabis intake in which patient may attack others indiscriminately Bad trips * Mild withdrawal symptoms like irritability Cannabis induced psychotic disorders